Arrange the steps of formation of creatinine from glycine in sequence: A. Transport of creatine from liver to muscle blood B. Formation of guanidino acetic acid from arginine and glycine C. Formation of creatine by methyl transferase D. Formation of creatine phosphate E. Conversion of creatine phosphate to creatinine
1. B- C-A- D - E
2. A- D-C- E - B
3. D- A-E- C - B
4. C- D-B- E - A

Correct answer: 1. B- C-A- D - E